Intrinsic Factor of Castle is secreted by which of the following cells in gastric glands:
1. Chief cells
2. Parietal cells
3. Enterochromaffin cells
4. B cells

Correct answer: 2. Parietal cells

Explanation: Parietal cells